Small punched out lesions on endoscopy in lower esophagus in the immunocompromised patients is seen in:-
1. CMV esophagitis
2. Candida esophagitis
3. Corrosive esophagitis
4. Herpes simplex esophagitis

Correct answer: 4. Herpes simplex esophagitis

Explanation: Herpetic Esophagitis: Both herpes simplex virus type -1 or type 2 can cause Esophagitis In patients with chicken pox Adult - Zoster - Esophagitis Children - V. Zoster - Esophagitis Classic endoscopic findings: Vesicles & small punched out ulcerations Severe reflux esophagitis- Cytomegalovirus esophagitis - Herpes simplex virus esophagitis - Candida esophagitis - mucosal ulceration & friability serpiginous ulcers target-type shallow ulcerations white plaques adherent to esophageal mucosa